A 29-year-o!d G3 P2 female at 32 weeks of gestation presents to the emergency dept. with a small amount of vaginal bloeding. She doesn't have any pain. * On examination * Her PR: 66/min * B/P: 100/70 mm of Hg * RR: 10/min FHS tracings show fetal distress and shows late declerations. What is the best course of action?
1. Emergent cesarean section
2. Fetal umbilical blood transfusion
3. Expectant management
4. Induction of labour with prost aglandins

Correct answer: 1. Emergent cesarean section

Explanation: As there is painless vaginal delivery,the blood loss is fetal in origin it has led to fetal distress i.e, it is a case of vasa previa Management of vasa previa is emergency cesarean section Ref: Dutta Obs 9e pg 243.